Radiological feature of ischemic colitis is –
1. Saw toothing
2. Craggy popcorn appearance
3. Thumb printing
4. Cobble stone appearance

Correct answer: 3. Thumb printing

Explanation: Ischemic colitis shows thumb printing related to submucosal hemorrhage and edema.